The least extrapyramidal side effects are seen with the following phenothiazine
1. Clozapine
2. Triflupromazine
3. Fluphenazine
4. Thioridazine

Correct answer: 4. Thioridazine

Explanation: Side effects of important CNS drugs Midazolam Ataxia , Blackouts in elderlyTolcapone Hepatotoxic Phenytoin Hirsuitism , Gingival hyperplasia , Osteomalacia , Teratogen , Megaloblastic anemia , Ataxia , Lymphadenopathy , Hyperglycemia , Arrhythmias , Vitamin K deficiency Valproate Irreversible hepatic necrosis in older children , Acute pancreatitis Zonisamide , Topiramate Renal stones VigabatrineIrreversible visual field defectsFelbamate Aplastic anemia Thioridazine Male sexual dysfunction , Retinal damage , Least extra pyramidal symptomsClozapine Agranulocytosis , Myocarditis Risperidone Extra pyramidal symptoms HaloperidolExtra pyramidal symptoms , Akathisia Olanzapine Risk of stroke and death Ziprasidone , Pimozide QT prolongation Quetiapine Cataract Iloperidone Orthostatic hypotension Lithium in expectant mothers Ebstein's anomalyFormic acid Retinal damage Opioids Tolerance & addiction